To minimize ureteric damage, the following preoperative and intraoperative precautions may be taken except
1. Cystoscopy
2. Direct visualization during surgery
3. Ureter should not be dissected off the peritoneum for a long distance
4. Bladder should be pushed downwards and outwards while the clamps are placed near the angles of vagina

Correct answer: 1. Cystoscopy

Explanation: Ureteric Injuries ureteric injury is one of the most serious complications of gynecologic surgery Preoperative preventive measures Intravenous urography Placement of urethral catheters Intraoperative preventive measures Direct visualisation or palpation of ureters Uriglow Adequate exposure of pelvic organs Meticulous care during dissection Avoid blind clamping Bladder flap procedure Ureteric implantation D.C.DUTTA'S TEXTBOOKOF GYNECOLOGY,Pg no:425,6th edition